Positive Kehrs sign is
1. Haemopertionium
2. Acute cholecystitis
3. Acute pancreatitis
4. Amoebic abscess

Correct answer: 1. Haemopertionium